Contact wound shows:
1. Cruciate splitting
2. Tattooing
3. Singeing of hair
4. Abrasion collar

Correct answer: 1. Cruciate splitting

Explanation: Ans. Cruciate splitting